Horner Trantas spots are seen in
1. Vernal conjunctivitis
2. Phlyctenular conjunctivitis
3. Angualar conjuctivitis
4. Follicular conjuctivitis

Correct answer: 1. Vernal conjunctivitis

Explanation: Horner Trantas spots are Eosinophils It is seen on the hypertrophied papilla in the upper limbus REF:Refer Khurana 6th edition page number 70